Chordee is associated with:
1. Epispadias
2. Hypospadias
3. Phimosis
4. Posterior urethral valve

Correct answer: 2. Hypospadias

Explanation: Ans. (b) HypospadiasRef: Bailey 26th ed./1359